A 40 years old patient has to undergo a surgery for removal of the tongue. Ligation of which part of the lingual artery would be preferred during the surgery?
1. First part
2. Second part
3. Third part
4. Sublingual part

Correct answer: 1. First part